In early pregnancy, the doubling time of the concentration of human chorionic gonadotropin in plasma in-
1. 1 day
2. 2 days
3. 3 days
4. 5 Days

Correct answer: 2. 2 days